A 70-year-old man presents with severe crampy abdominal pain which is worse after eating. Patient also complained of frequent nausea, bloating, watery diarrhoea and weight loss. His other medical problems include coronary artery disease, hypertension and hypercholesterolemia. He has a 30-pack-year smoking history. Barium enema is as shown: Which of the following statement is true?
1. Barium enema is suggestive of diverticulosis
2. Screening of the described condition can be done by duplex USG (pre and post prandial)
3. Contrast Enhanced MRI is the investigation of choice
4. Treatment includes, counseling of the patient, amitriptyline, NSAIDS and steroids in severe in severe conditions.

Correct answer: 2. Screening of the described condition can be done by duplex USG (pre and post prandial)

Explanation: The diagnosis of chronic mesenteric ischemia should be suspected in the above patient. The barium enema demonstrates thumbprinting of the colonic wall, although nonspecific but seen in mesenteric ischemia- Treasure 21 (radiology) Most cases are due to atherosclerotic changes, especially in the background of smoking and coronary artery disease. Chronic intestinal ischemia clinically present as postprandial abdominal pain due to increased need of blood flow in the post prandial state to the intestine following meals (intestinal angina) Patients report abdominal cramping and pain following ingestion of a meal. Weight loss and chronic diarrhea may be associated as well. Screening test : Duplex ultrasound Gold standard investigation: Mesenteric angiography MR-angiography (if administration of contrast dye is contraindicated) The management of chronic intestinal ischemia medical management (atherosclerotic disease) by exercise cessation of smoking anti-platelet and lipid-lowering medications.